Most common cause of unilateral proptosis in adults is -
1. Thyroid ophthalmopathy
2. Rhabdomyosarcoma
3. Orbital blow out fracture
4. Orbital cellulitis

Correct answer: 1. Thyroid ophthalmopathy

Explanation: Ans. is a i.e., Thyroid ophthalmopathy * The most common cause of unilateral proptosis in children is orbital cellulitis* The most common cause of unilateral proptosis in adults is thyroid ophthalmopathy.* Most common cause of bilateral proptosis in children ->> Neuroblastoma (me), Leukemia (Chloroma)* Most common cause of bilateral proptosis in adults is thyroid ophthalmopathy.